Drug used in ovarian carcinoma?
1. Cisplatin
2. Methotrexate
3. Cyclophosphamide
4. Dacarbazine

Correct answer: 1. Cisplatin

Explanation: ANSWER: (A) CisplatinREF: Shaw 13th ed p. 415"Chemotherapy in carcinoma ovary is done using cisplatin and paclitaxer"